Rubor in inflammation is due to
1. Dilation of arterioles
2. Increased vascular permeability
3. Increased viscocity of blood
4. Edema

Correct answer: 1. Dilation of arterioles

Explanation: Harshmohan textbook of pathology 7th edition. persistent progressive vasodilatation seen in acute inflammatory response due to dilatation of arterioles but to a lesser extend affect other components of micro circulation like venules and capillaries. Vasodilatation result in increased blood volume in the microvascular bed of the area which is responsible for redness/ rubor and warmth at the site of acute inflammation. .